Metastatic calcifications are seen in
1. Hypoparathyroidism
2. Vitamin D deficiency
3. Hypercalcemia
4. All the above

Correct answer: 3. Hypercalcemia